Which of the following conditions is associated with Coomb's positive hemolytic anaemia:
1. Thrombotic thrombocytopenic purpura
2. Progressive systemic sclerosis
3. Systemic lupus erythematosus
4. Polyarteritis nodosa

Correct answer: 3. Systemic lupus erythematosus

Explanation: Answer is C (systemic lupus erythematosis) Coomb's positive hemolytic anemia is a feature of autoimmune vascular disease and may also be seen in SLE and other Collagen Vascular diseases including PAN and Systemic sclerosis. However amongst the options provided coombs positive hemolytic anemia is most commonly associated with SLE which is the single best answer of exclusion. Autoimmune hemoletic anemias are associated with 'collagen vascular diseases especially systemic lupus Erythematosis'- Harrisons Autoimmune hemolytic anemia are associated with 'autoimmune diseases particularly Systemic Lupus Erythematosis' -Hoffman.